Virchow's cells are seen in –
1. Henoch scholein purpura
2. Toxic Epidermal necrolysis
3. Congenital syphilis
4. Leprosy

Correct answer: 4. Leprosy

Explanation: Foam cells containing lepra bacilli are called virchow's cells (lepra cells). These cells are abundant in lepromatous leprosy.